Least chances of cord prolapse are seen in?
1. Frank breech
2. Complete breech
3. Footling
4. Knee

Correct answer: 1. Frank breech

Explanation: Frank breech REF: Dutta obs 6the p. 399 Cord prolapse occurs more commonly in flexed or complete breech or in case of footling presentation because engagement in both cases occur late where as in frank breech the chances are less because engagement occurs early Factors associated with cord prolapse Malpresentations - commonest with transverse breech In second twin Prematurity Contracted pelvis Iatrogenic Hydramnios with ruptured membrane Placenta previa, battle door placenta, long cord etc.